Which of the following fetal complications is associated with the penicillamine use in pregnancy?
1. Conradi syndrome
2. Renal anomalies
3. Thymus hypoplasia
4. Cutis laxa

Correct answer: 4. Cutis laxa

Explanation: Pencillamine interferes with the synthesis of collagen and elastin and can cause elastosis perforans serpiginosa and localized cutis laxa.